Nuclei deep within the medial temporal lobes of the brain
1. Amygdala
2. Raphae nucleus
3. Dentate nucleus
4. Red nucleus.

Correct answer: 1. Amygdala

Explanation: The amygdala (almond shaped) is part of the basal ganglia, and is situated in the temporal lobe. It has many connections with other parts of the brain, most particularly with the limbic system, for which reason it is considered part of the limbic system (although not part of the limbic lobe itself). The amygdala is critically involved in computing the emotional significance of events. The raphe nuclei are a moderate-size cluster of nuclei found in the brain stem. Their main function is to release serotonin to the rest of the brain.The Dentate nucleus is located within the deep white matter of each cerebellar hemisphere. It is the largest of the four deep cerebellar nuclei, the others being the fastigial nucleus and the interposed nucleus (globose and emboliform nuclei combined). It is responsible for the planning, initiation and control of volitional movements.The red nucleus is a structure in the rostral midbrain involved in motor coordination.